Which of the following cast gold alloys is used for fabricating partial denture frameworks
1. Type I - Soft
2. Type II - Hard
3. Type III - Hard
4. Type IV - Extra Hard

Correct answer: 4. Type IV - Extra Hard